The commonest cause of water intoxication in surgical patient is due to -
1. Colorectal wash with plain water
2. Syndrome of inappropriate secretion of ADH
3. Irrigation during transurethral resection of prostate
4. Excessive infusion of 5% glucose

Correct answer: 4. Excessive infusion of 5% glucose